All of the following are recommendations of the Baby-Friendly Hospital initiative except:
1. Initiate breastfeeding as soon as possible
2. Encourage 4 hourly breastfeeding
3. Rooming-in
4. Counsel mothers on use and risk of pacifiers and feeding bottles

Correct answer: 2. Encourage 4 hourly breastfeeding

Explanation: The Baby-Friendly Hospital Initiative (BHFI) recommends breastfeeding on demand (not 4th hourly breastfeeding). Step 8 of BHFI(revised 2018) recommends supporting mothers to recognize and respond to theirs cues for feeding. BHFI is a global effort (sponsored by the WHO and United Children's Fund) to promote breastfeeding. It recommends 10 steps to successful breastfeeding. Ref: World Health organization